All are TNF–α antagonists used in rheumatoid arthritis except :
1. Ifosfamide
2. Infliximab
3. Etanercept
4. Adalimumab

Correct answer: 1. Ifosfamide